The duration of atrial systole is
1. 0.80 second
2. 0.57 second
3. 0.11 second
4. 0.44 second

Correct answer: 3. 0.11 second

Explanation: The duration of each of the heart sounds is slightly more than 0.10 second, with the first sound about 0.14 second and the second about 0.11 second. Ref: Guyton and Hall textbook of medical physiology 13th edition. Page: 119